Which of the following insulin is rapidly acting?
1. Insulin lispro
2. Regular insulin
3. Insulin glargine
4. NPH

Correct answer: 1. Insulin lispro

Explanation: Ref: KDT 6th ed. pg. 259Insulin typeOnset of action (hr.)Duration of action (hr)Ultrashort (Rapid Acting) Insulin LisproInsulin AspartInsulin Gluilisine15 - 30 minutes3-5 hrsShort actingRegular insulin30-60 minutes6-8 hrsIntermediate actingInsulin lenteNeutral protamine hagedorn (NPH)/lsophane insulin1-2 hrs16-20 hrsLong ActingInsulin GlargineInsulin Detemir Insulin Degludec2-4 hrs16-24 hrsDegludec: >24 hoursInhaled insulin(Human insulin)-Liquid form5-10 minutes3-5 minutesMost common side effect of insulin: hypoglycemiaDOC for Diabetic ketoacidosis (DKA): Regular insulin